Which of the following Is suggestive of ectopic pregnancy in a young woman with acute abdomen ?
1. Tender cervix
2. Amenorrhea
3. Positive urinary HCG
4. All of the above

Correct answer: 4. All of the above

Explanation: All of the above